Barrets esophagus is commonly associated with one of the following
1. Adenocarcinoma
2. Squamous cell carcinoma
3. Sarcoma
4. Gastrointestinal stromal tumor

Correct answer: 1. Adenocarcinoma

Explanation: Barrett's oesophagus is a metaplastic change in the lining mucosa of the oesophagus in response to chronic gastro-oesophageal reflux . Squamous epithelium of lower end of the oesophagus is replaced by diseased columnar epithelium. When intestinal metaplasia occurs, there is an increased risk of adenocarcinoma of the oesophagus, which is about 25 times that of the general population.Reference : page 1022-23 Bailey and Love's short practice of surgery 25th edition